Radiation Dose Monitoring in Occupational Workers is done by
1. TLD Badge
2. Linear Accelerator
3. Collimators
4. Grid

Correct answer: 1. TLD Badge

Explanation: TLD Batch (Thermoluminescent Dosimeter) It is used to evaluate occupational radiation exposure It is made up of lithium flouride (LiF) or Calcium suphate Dysprosium It is worn under lead apron